What is the motor supply of the diaphragm?
1. Phrenic nerve
2. C2, C3, C4 Roots
3. Thoracodorsal nerve
4. Long thoracic nerve

Correct answer: 1. Phrenic nerve

Explanation: Ans. is 'a' i.e., Phrenic nerve Diaphragm OrigininsertionNerve supply1.Sternal partPosterior surface of xiphoid process.* All fibers converge to insert into central tendon* MotorPhrenic nerve (C3C4C5).* Sensoryi) Centrally by phrenic nerve.ii) Peripherally by lower 6 intercostal nerves.2.Costal partInner aspect of lower 6 ribs.3.Lumbar part-i) Right crusUpper 3 lumbar vertebral bodies.ii) Left crus Upper 2 lumbar vertebral bodies.iii) From medial arcuate ligament (medial lumbocostal arch).iv) From lateral arcuate ligament (lateral lumbocostal arch).